Dissolution of nuclear chromatin and fading of chromatin is known as:
1. Pyknosis
2. Karyolysis
3. Karyorrhexis
4. Emiocytosis

Correct answer: 2. Karyolysis

Explanation: Karyolysis: Dissolution of nuclear chromatin and fading of chromatin
Karyorrhexis: Fragmentation into granular clumps